A 52-year-old woman is started on a low sodium diet. She feels well and is experiencing no symptoms. Her physical examination is normal except for a sustained cardiac apical impulse.For the patient placed on a dietary restriction, select the most likely diagnosis.
1. diabetes
2. obesity
3. hypertension
4. irritable bowel syndrome

Correct answer: 3. hypertension

Explanation: Some patients with hypertension are salt sensitive, and will lower their blood pressure with salt restriction. Low sodium diets are also recommended in patients with congestive heart failure (CHF), ascites, or chronic renal failure.